Eruption of Mandibular 1st molar occur at
1. 8 years
2. 7 years
3. 9 years
4. 6 years

Correct answer: 4. 6 years